Role of P-selectin in inflammation -
1. Rolling
2. Adhesion
3. Homing
4. Transmigration

Correct answer: 1. Rolling

Explanation: Ans. is 'a' i.e., RollingEndothelial - Leukocyte Adhesion MoleculesEndothelial molecule Leucocyte MoleculeP-selectin Sialyl-Lewis X-modified proteinsE-selectin Sialyl-Lewis X-modified proteinsGlyCam-1, CD34 L-selectinAM- l (Immunoglobulin family) CD11/CD18 102 integrin (LFA-1 Mac-1)VCAM-1 (Immunoglobulin family) VLA-4 0-1 integrinMajor RoleRolling (neutrophils, monocytes, L lymphocytes)Rolling and adhesion (neutrophils, monocytes, I lymphocytes)Rolling (neutrophils, monocytes)Adhesion, arrest, transmigration (neutrophils, monocytes, lymphocytes)Adhesion (eosinophils, monocytes, lymphocytes)